Jefferson fracture is -
1. Fracture of atlas
2. Fracture of axis
3. Fracture of spinous process of C7
4. Fracture of any cervical vertebra

Correct answer: 1. Fracture of atlas

Explanation: Jefferson's fracture is the fracture of C1 vertebra (atlas). Reference- Maheshwari-9th edn- pg no 3